Duct of Rivinus is associated with
1. Parotid gland
2. Submandibular gland
3. Sublingual gland
4. Minor salivary gland

Correct answer: 3. Sublingual gland